Which of the following is x-linked recessive -
1. G-6-PD deficiency
2. Neurofibromatosis
3. Thalassemia
4. Alkaptonuria

Correct answer: 1. G-6-PD deficiency

Explanation: Ans. is 'a' i.e., G-6-PD deficiencyX-linked Recessive disordersMusculoskeletalHematologicalImmuneMetabolicNervouso Duchene muscular dystrophyo Chronic granulomatous diseaseo Hemophilia A & Bo G-6-PD deficiencyo Agammaglobulinemiao Wiskott-Aldrich synd.o Diabetes insipiduso Lesch Nyhan syndromeo Fragile-X-syndromeo ColourblindnessX-linked dominant disorderso Vitamine D resistant ricketso Familial hypophosphatemia